ANCA is associated with
1. Henoch-Schonlein Purpura
2. Wegener’s granulomatosis
3. Rheumatoid arthritis
4. Goodpasture syndrome

Correct answer: 2. Wegener’s granulomatosis

Explanation: • ANCA or antineutrophilic cytoplasmic antibodies are formed against certain proteins in the cytoplasm of neutrophils. Out of the given options, Wegener’s granulomatosis is most strongly associated with ANCA.